Germ tube test is used in the diagnosis of
1. Candida albicans
2. Cryptococcus
3. Histoplasma
4. Coccidiomycosis

Correct answer: 1. Candida albicans

Explanation: Candida albicans has the ability to form germ tubes within 2hrs when incubated in human serum at 37C. Ref: Textbook of Microbiology, Ananthanarayan and Paniker; 9th edition